The overall heart size in tetralogy of Fallot is usually:
1. Markedly enlarged
2. Normal or relatively small
3. Slightly enlarged
4. Moderately enlarged

Correct answer: 2. Normal or relatively small

Explanation: Ans. Normal or relatively small